Pigmentation due to increased melanin production but no melanocyte proliferation, is seen in?
1. Nevus
2. Ephelides
3. Lentigo
4. Melanoma

Correct answer: 2. Ephelides

Explanation: Causes of Hyperpigmentation Increased pigment( melanin) production Ephelides (freckles) Cafe au lait macule Post inflammatory hyperpigmentation Proliferation of melanocytes Lentigo Nevus Melanoma